Drug not used in treatment of alcohol dependence:
1. Diazepam
2. Disulfiram
3. Acamprosate
4. Naltrexone

Correct answer: 1. Diazepam

Explanation: Ans. Diazepam